Cluster C personality disorder is?
1. Obsessive compulsive
2. Paranoid
3. Schizoid
4. Borderline

Correct answer: 1. Obsessive compulsive

Explanation: Ans. is 'a' i.e., Obsessive compulsive Personality disorders1. ClustorA (Odd. and Eccentric): Paranoid, Schizoid, Schizotypal.2. Clustor B (Dramatic, Emotional and Erratic) : Antisocial (Dissocial), Histrionic, Narcissistic, Borderline.3. Clustor C (Anxious and fearful): Anxious (avoidant). Dependent, obsessive - compulsive (anankastic).